Substrate level phosphorylation in glycolysis is seen in
1. Pyruvate kinase
2. Succinate thiokinase
3. Enolase
4. PDH

Correct answer: 1. Pyruvate kinase

Explanation: Step 9 of Glycolysis i. Phosphoenol pyruvate (PEP) is dephosphorylated to pyruvate, by pyruvate kinase. First PEP is made into a transient intermediary of enol pyruvate; which is spontaneously isomerized into keto pyruvate, the stable form of pyruvate. ii. One mole of ATP is generated during this reaction. This is again an example of substrate-level phosphorylation (Fig. 9.13). iii. The pyruvate kinase is a key glycolytic enzyme. This step is irreversible. The reversal, however, can be brought about in the body with the help of two enzymes (pyruvate kinase and phosphoenolpyruvate carboxykinase) and hydrolysis of 2 ATP moleculesRef: DM Vasudevan Textbook of Medical Biochemistry, 6th edition, page no: 96